Conformation radiotherapy uses:
1. Multileaf collimator
2. Single leaf collimator
3. Cone
4. Cylinder

Correct answer: 1. Multileaf collimator

Explanation: Ans. Multileaf collimator